The smallest diameter of the true pelvis is
1. Interspinous diameter
2. Diagonal conjugate
3. True conjugate
4. Intertuberous diameter

Correct answer: 1. Interspinous diameter

Explanation: The interspinous diameter is 10 cm or slightly greater, is usually the smallest pelvic diameter and in cases of obstructed labor, is particularly important Intertuberous (11 cm or 4 1/4 ''): It measures between inner borders of ischial tuberosities. Diagonal conjugate: It is the distance between the lower border of symphysis pubis to the midpoint on the sacral promontory. It measures 12 cm (4 3/4 '') Anteroposterior (Syn : true conjugate, anatomical conjugate, conjugate vera) : It is the distance between the midpoint of the sacral promontory to the inner margin of the upper border of symphysis pubis. It measures 11 cm (4 1/4 ''). It is not the shortest diameter of the inlet in the anteroposterior plane. In practice, the true conjugate cannot be estimated directly. However, its measurement is inferred by subtracting 1.2 cm ( 1/2 '') from the diagonal conjugate thus allowing for the inclination, thickness and height of the symphysis pubis. Reference: William's Obstetrics; 24th edition; Chapter 1